Drug of choice for tonic–clonic seizures is:
1. Sodium valproate
2. Carbemazepine
3. Phenobarbitone
4. Felbamate

Correct answer: 1. Sodium valproate